Ideal rhythm of Distraction osteogenesis is?
1. Continuous
2. 0.25 mm four times a day
3. 0.33 mm three times a day
4. 1.0 mm four times a day.

Correct answer: 1. Continuous